Which structures are preserved in scanlon's modified radical mastectomy
1. Lateral pectoral nerves
2. Level III nodes in axilla
3. Pectoral fascia
4. Nipple and the areola

Correct answer: 1. Lateral pectoral nerves

Explanation: .* Scanlon's operation: Is a modified Patey's operation wherein instead of removing pectoralis minor, it is incised to approach the affected Level III lymph nodes.* Auchincloss modified radical mastectomy: Here pectoralis minor muscle is left intact and level III lymph nodes are not removed. ref:SRB's manual of surgery,ed 5,pg no 547